Most common site of endometriosis:
1. Fallopian tube
2. Cervix
3. Ovary
4. Vagina

Correct answer: 3. Ovary

Explanation: Most common site of endometriosis is ovary other common sites are: fallopian tubes, pelvic peritoneum, uterosacral ligaments Others sites: Bowel Lung (periodic hemoptysis) Nose (periodic epistaxis) Eyes (periodic subconjuctival hemorrhage)